Postmortem caloricity is seen in
1. Strychnine poisoning
2. Organophosphorus Poisoning
3. Datura poisoning
4. Ergot poisoning

Correct answer: 1. Strychnine poisoning

Explanation: Postmortem caloricity A state in which the body temperature remains elevated--or even increases--for up to several hours after death.